Which of the following is situated in the upper part of Crista terminalis ?
1. AV node
2. Bundle of his
3. Right Bundle branch
4. SA node

Correct answer: 4. SA node

Explanation: SA node